Pemberton sign in seen in ?
1. Retrosternal goiter
2. Grave opthalmopathy
3. Thyroid crisis
4. Addisonian crisis

Correct answer: 1. Retrosternal goiter

Explanation: Ans. is 'a' i.e., Retrosternal goiter Pemberton's Signo With years of continued growth, the thyroid may extend downward and enlarge within the chest resulting in substemal goitre.o Symptoms and signs may arisefrom compression of the stuctures located within the bony confines of the thoracic inlet including the trachea, esophagus and vasculature.o The Pemberton maneuver is a physical examination method that elicits manifestations of latent increased pressure in the thoracic inlet by altering arm position to further marrow the aperture.o The maneuver involves "elevating both arms until they touch the sides of the head" if the sign is present, after a minute or so, congestion of the face some, cyanosis and lastly distress becomes apparent.# The pemberton sign is an important indicator of increased pressure in the thoracic inlet.# The pemberton sign is an important indicator of increased pressure in the thoracic inlet.# Pemberton sign occurs when the thoracic inlet becomes obstructed during positional changes resulting in the compression of the jugular veins.